Ridley jopling leprosy classification is a type of-
1. Clinical, bacteriological, immunological, epidemiological classification
2. Clinical, bacteriological, immunological, therapeutic classification
3. Clinical, bacteriological, immunological, histological classification
4. Operational classification

Correct answer: 3. Clinical, bacteriological, immunological, histological classification

Explanation: Classifications of Leprosy